Distichiasis is characterised by all of the following except:
1. An extra row of cilia is present
2. Normal row of cilia is present anterior to the openings of the meibomian glands
3. Extra row of cilia occupies a position posterior to the openings of the meibomian glands
4. Cilia of the extra row may rub the cornea

Correct answer: 3. Extra row of cilia occupies a position posterior to the openings of the meibomian glands

Explanation: Ans. Extra row of cilia occupies a position posterior to the openings of the meibomian glands